One of the following features can be used to define contracted pelvis:
1. Transverse diameter of inlet is 10 cm
2. AP diameter of inlet is 12 cm
3. Platypelloid pelvis
4. Gynaecoid pelvis

Correct answer: 1. Transverse diameter of inlet is 10 cm

Explanation: Minimal/Critical diameters of the Pelvis: If any of the following diameter is less than critical diameter, Pelvis is said to be contracted